I/V contrast is not used in -
1. CT scan
2. MRI
3. IVP
4. Myelography

Correct answer: 4. Myelography

Explanation: In myelography the contrast agent is injected into the subarachanoid space.